Liver is divided into eight segments. Right hepatic duct drains all of the following segments, EXCEPT:
1. Segment VIII
2. Segment III
3. Segment V
4. Segment VI

Correct answer: 2. Segment III

Explanation: The right hepatic duct drains the bile ducts from segments V, VI, VII, and VIII, which constitute the right liver. The left hepatic duct directly drains the bile ducts to segments II, III, and IV, which constitute the left liver. Segment I (caudate) is drained by several small ducts. Ref: Principles and Practice of Gastrointestinal Oncology edited by David Kelsen, 2008, Page 484.